On a cephalogram if FMA angle is 25° the patient is:
1. Long face
2. Short face
3. Average face
4. Mandibular growth is rotated backwards

Correct answer: 3. Average face